Red urine without RBCs is seen in:
1. Lupus nephritis
2. Pyelonephritis
3. Hemolytic uremic syndrome
4. Following Rifampicin ingestion

Correct answer: 4. Following Rifampicin ingestion

Explanation: Ans. D. Following Rifampicin ingestionHematuria is defined as the presence of 5 or more red blood cells (RBCs) per high-power field in 3 of 3 consecutive centrifuged specimens obtained at least 1 week apart. Hematuria can be either gross (i.e., overtly bloody, smoky, or tea- colored urine) or microscopic. However ingestion of certain drugs like Rifampicin and Pyridium may impart red colour to urine which may be mistaken for hematuria. Uric acid crystals may also impart a pink tinge to the nappy.